A person who believes his penis is getting smaller and would disappear leading to death. Diagnosis is
1. Amok
2. Koro
3. Dhat
4. Brian fag

Correct answer: 2. Koro

Explanation: Culture-Bound Syndrome(CBS-)specific arrays of behavioral and experiential phenomena that tend to present themselves preferentially in particular sociocultural contexts and are readily recognized as illness behavior by most participants in that culture. Name of CBS Region of prevalence Psychopathology Amok * Malaysia Laos, Philippines, dissociative episode Ataque de nervios Latinos from the Caribbean, American Dissociative experiences, seizure-like or fainting episodes, suicidal gestures bouffee delirante West Africa and Haiti. may resemble an episode of brief psychotic disorder brain fag West Africa Seen in students in response to the challenges of schooling. resemble anxiety, depressive, and somatoform disorders Dhat* India Semen is lost in urine severe anxiety and hypochondriacal concerns falling-out or blackout southern United States, Caribbean groups. conversion disorder or a dissociative disorder. ghost sickness American Indian tribes. A preoccupation with death and the deceased Koro* South and East Asia an episode of sudden and intense anxiety that the penis( in women, the vulva and nipples) will recede into the body and cause death Latah* Malaysian, Indonesian Hypersensitivity to sudden fright, dissociative or trancelike behavior, with echopraxia, echolalia, command obedience Piblokto Eskimo communities dissociative episode accompanied by excitement followed by convulsive seizures and coma Spell African-Americans European In a trance state person communicates with deceased relatives or spirits, associated with brief periods of personality change. taijin kyofusho Japan resembles social phobia in DSM Reference: P. 523 14.5 Culture-Bound SyndromesKaplan & Sadock's Synopsis of Psychiatry: Behavioral Sciences/Clinical Psychiatry, 10th Edition)